In which of the following condition, flat capnogram is NOT seen?
1. Apnea
2. Complete laryngospasm
3. Foreign body obstructing the upper airway
4. None of the above

Correct answer: 4. None of the above

Explanation: Capnography is a valuable monitor of the pulmonary, cardiovascular, and anesthetic breathing systems. Capnographs in common use rely on the absorption of infrared light by CO2. A value commonly reported on the capnography device is the end-tidal CO2 (the maximum CO2 concentration at the end of each tidal breath, or ETCO2). A flat-line capnogram can be due to either apnea, upper airway obstruction, or complete laryngospasm. Ref: Miner J.R. (2011). Chapter 41. Procedural Sedation and Analgesia. In J.E. Tintinalli, J.S. Stapczynski, D.M. Cline, O.J. Ma, R.K. Cydulka, G.D. Meckler (Eds), Tintinalli's Emergency Medicine: A Comprehensive Study Guide, 7e.